Anuria is defined as urine output less than ?
1. 4 ml/hr
2. 8 ml/hr
3. 12 ml/hr
4. 16 ml/hr

Correct answer: 1. 4 ml/hr

Explanation: Ans. is 'a' i.e., 4 ml/hr o Oliguria - <400 ml/davo Anuria - < l00ml/day